Antibody in Goodpasture syndrome:
1. Lupus anticoagulant
2. Anti-GBM antibody
3. Anti-Ro antibody
4. Anti- mitochondrial antibody

Correct answer: 2. Anti-GBM antibody

Explanation: Ans. (b) Anti GBM antibodyRef.: Harrison 18th edition, Chapter 283* Patients who develop autoantibodies directed against glomerular basement antigens frequently develop a glomerulonephritis termed antiglomerular basement membrane (anti-GBM) disease. When they present with lung hemorrhage and glomerulonephritis, they have a pulmonary-renal syndrome called Goodpasture's syndrome.* Goods syndrome is a Thymoma with immunodeficiency* It is a cause of combined B and T cell immunodeficiency in adults.* The clinical characteristics of Goods syndrome are increased susceptibility to bacterial infections with encapsulated organisms and opportunistic viral and fungal infections.* The most consistent immunological abnormalities are hypo-gammaglobulinaemia and reduced or absent B cells.